Which of the following drugs is a SERM useful for treatment of osteoporosis
1. Raloxifen
2. Bisphoshonates
3. Strontium
4. Estradiol

Correct answer: 1. Raloxifen

Explanation: Refer Katzung 11/e p 759. Raloxifen is a selective estrogen receptor modulator with estrogen agonistic action on bone and antagonistic action on breast and endometrium It is therefore the preferred drug for the treatment and prevention of post menopausal osteoporosis